In a patient with UTI, CLED (Cystine, Lactose Electrolyte Deficient) Media is preferred over Mac Conkeys media because -
1. It is a differential medium
2. In inhibits swarming of Proteus
3. Promotes growth of Pseudomonas
4. Promotes growth of staph aureus and Candida

Correct answer: 4. Promotes growth of staph aureus and Candida

Explanation: Ans. is 'd' i.e., Promotes growth of staph aureus & Candida